Nasal polyps with subcutaneous nodules are seen in-
1. Zygomycosis
2. Rhinosporidiosis
3. Sporotrichosis
4. Aspergillosis

Correct answer: 2. Rhinosporidiosis

Explanation: Clinical features of Rhinosporodiosis : Leafly, polypoidal mass, pink to purple in colour, attached to nasal septum or lateral wall mass is very vascular, bleeds on touch and studded with white dots (Strawberry-Like appearance).